Apoptosis is differentiated from necrosis by the following feature-
1. Absence of inflammation
2. Cell swelling
3. Disruption of plasma membrane
4. Passive process

Correct answer: 1. Absence of inflammation

Explanation: Ans. is 'a' i.e. Absence of inflammation o Two very important differentiating features from necrosis are:-1) Absence of inflammation2) Intact cell membraneApoptosisNecrosiso Death of a single cello Death of many contiguous cells (usually)o Cell size decreases (Shrinkage)o Increased cell size (swelling)o Plasma membrane intacto Disruption of plasma membraneo Lysosomal and other organelles remain intacto Lysosomal breakdown with release of hydrolaseso Cellular contents do not leak outo Cellular contents leak outo Adjacent inflammation absento Adjacent inflammation present.o In early stage require protein synthesiso T Protein synthesiso Active process Energy dependento Passive process Not energy dependento May be pathological or physiologicalo Always pathological